All are true about Net protein utilization (NPU) except
1. Defined as Nitrogen retained by Nitrogen consumed X 100
2. 1 gram protein is equivalent to 1 gram Nitrogen
3. Good for estimating protein quality
4. Egg has the highest NPU value

Correct answer: 2. 1 gram protein is equivalent to 1 gram Nitrogen

Explanation: • 1 gram of proteins is equivalent to: 6.25 grams Nitrogen
• NPU of India diets: 50-80